The most common agent associated with neonatal bacterial meningitis is –
1. Haemophilus influenzae type b
2. Neisseria meningitidis
3. Streptococcus pneumoniae
4. Streptococcus agalactiae

Correct answer: 4. Streptococcus agalactiae